CSF rhinorrhea "immediate" management is?
1. Plugging with petroleum jelly plugs
2. Wait & watch for 7 days with antibiotics
3. Blow the nose repeatedly
4. Surgery

Correct answer: 2. Wait & watch for 7 days with antibiotics

Explanation: Immediate management is waiting and watching for seven days plus antibiotics. Other conservative measures include Bed rest, Elevating the head of the bed, stool softeners, avoidance of nasal blowing, sneezing and straining. Acetazolamide decreases CSF formation Ref: PL Dhingra 7th edition of Ear, Nose and Throat; (page no: 184)